In metabolic acidosis what happens to PCO2-
1. Increase
2. Decrease
3. Remain constant
4. None

Correct answer: 2. Decrease